Superior rib notching is/are caused by:
1. Hyperparathyroidism
2. Poliomyelitis
3. Marfan syndrome
4. All

Correct answer: 4. All

Explanation: A, B, C, i.e. Hyperparathyroidism, Poliomyelitis, Marfan syndome